The sequence of symptoms in pulmonary embolism is
1. Fever, pain, dyspnoea
2. Fever, dyspnoea
3. Dysponea, pain, haemoptysis
4. Dysponea, cough, purulent sputum

Correct answer: 3. Dysponea, pain, haemoptysis